Which of the following behavioral problems would suggest an organic brain lesion :
1. Visual hallucinations
2. Formal thought disorder
3. Auditory hallucinations
4. Depression

Correct answer: 1. Visual hallucinations

Explanation: While the majority of hallucinations reported in primary psychotic disorders are auditory, they may also be visual, olfactory, tactile, or gustatory.
Visual hallucinations have been reported in 16% – 72% of patients with schizophrenia and schizoaffective disorder.